Drug used in remodeling of heart in congestive cardiac failure are all EXCEPT -
1. Beta blocker
2. ACE inhibitor
3. Digoxin
4. Aldosterone antagonist

Correct answer: 3. Digoxin

Explanation: Ans. is 'c' i.e., Digoxin